Skin scraping & KOH mounting is done for
1. Fungus
2. Leprosy
3. Varicella
4. HSV

Correct answer: 1. Fungus

Explanation: Skin scrapping and KOH mount is done for fungal infection. Fungus is easily detected using low power objective lens with Iris diaphragm closed and condensor positioned down.